Maternal mortality rate is expressed as:
1. 1000 Live births
2. 100,000 Live births
3. 1000 pregnancies
4. 100 pregnancies

Correct answer: 2. 100,000 Live births

Explanation: Ans. (b) 100,000 Live birthsRef: K. Park 23rd ed. / 25, 557* Maternal Mortality Rate (MMR) is expressed as per 100,000 live births.* MMR=No. of maternal deaths in a given yearTotal no. of live births in the same yearx 100,000* MMR is a RATIO* MCC of MMR in India: Post-partum hemorrhage* MC direct cause of MMR: PPH* MC indirect cause of MMR: Anemia* Maternal death: Death of mother anytime during pregnancy/labor or within 42 days of termination of pregnancy.